Which among the following is the Glucocorticoid receptor blocker?
1. Mifepristone
2. Ketoconozole
3. Mitotane
4. Trilostane

Correct answer: 1. Mifepristone

Explanation: Mifepristone is anti-progesterone as well as mild glucocorticoid blocker.Ketoconazole, Mitotane, and Trilostane inhibits the synthesis of glucocorticoidsRef: Goodman Gillman 12th ed.Pg: 1184